Oral habit that occurs during intrauterine stage is:
1. Atypical swallowing
2. Tongue thrusting
3. Thumb sucking
4. Lip sucking

Correct answer: 3. Thumb sucking

Explanation: Thumb sucking habit  is seen in the oral stage of development and is seen at 29 week of intrauterine life and may disappear during normal growth between the ages of 1 and 3.5 years.